The protein in glomerular basement membrane responsible for charge dependent filtration is ?
1. Albumin
2. Collagen type IV
3. Proteoglycan
4. Fibronectin

Correct answer: 3. Proteoglycan

Explanation: Ans. is 'c' i.e., Proteoglycan Structure of glomerulus o The glomerulus is composed of an anastomosing network of capillaries lined by fenestrated endothelium invested by two layers of epithelium. o The visceral epithelium (podocytes) is incorporated into and becomes an intrinsic part of the capillary wall, separated from endothelial cells by basement membrane. o The parietal epithelium, situated on Bowman's capsule, lines the urinary space. o The glomerular capillary wall is the filtering membrane and consist of the following structures. Thin layer of fenestrated endothelial cells. Glomerular basment membrane (GBM). Visceral epithelium (Podocytes) --> their adjacent foot processes are separated by filtration slits. Mesangial matrix and mesangial cells support the entire glomerular tuft. Glomerular barrier function o The filtration of any substance through glomerular filtration layer depends on two factors ? Size of the substance o Glomerular filtration layer is more porous than other capillary membrane. o Any neutral substance 5. 4A diameter freely filters through this layer Charge of the substance o Acidic glycoprotein of the GBM and the acidic sialoglycoproteins of epithelial and endothelial cell coats are negatively charged (anionic). o Therefore all anionic molecules (negatively charged) including albumin are repelled by filtration layer. So, The larger the molecule --> less permeable The more cationic the protein --> more permeable